Antiemetic of choice in chemotherapy induced vomiting -
1. Metaclopramide
2. Ondansetron
3. Prochlorperazine
4. Nabilone

Correct answer: 2. Ondansetron

Explanation: Ondansetron, marketed under the brand name Zofran, is a medication used to prevent nausea and vomiting caused by cancer chemotherapy, radiation therapy, or surgery. It is also useful in gastroenteritis. It has little effect on vomiting caused by motion sickness. It can be given by mouth, or by injection into a muscle or into a vein. Ref Davidson edition23rd pg 805